All are endodermal in origin except ?
1. Hepatocyte
2. Odontoblast
3. Alveolar lining cells
4. None

Correct answer: 2. Odontoblast

Explanation: B i.e. Odontoblast